Multiple epidermoid cysts are seen in -
1. Turcot's syndrome
2. Gardner's syndrome
3. Peutz-Jegher syndrome
4. Familial polyposis coli

Correct answer: 2. Gardner's syndrome

Explanation: Gardner syndrome, also known as Gardner's syndrome or familial colorectal polyposis,is an autosomal dominant form of polyposis characterized by the presence of multiple polyps in the colon together with tumors outside the colon. Multiple epidermoid cysts are formed. Basic Pathology, Robbins.